On chronic treatment with a drug, patient presents with gingival hyperplasia and facial hirsutism. The drug most likely to cause these side-effects is -
1. Phenytoin
2. Carbamazepine
3. Valproic acid
4. Phenobarbitone

Correct answer: 1. Phenytoin

Explanation: Ans. is 'a' i.e., Phenytoin